Which of the following ovarian tumour is most prone to undergo torsion during pregnancy?
1. Serous cystadenoma
2. Mucinous cystadenoma
3. Dermoid cyst
4. Theca lutein cyst

Correct answer: 3. Dermoid cyst

Explanation: “Incidence of dermoid cyst increases two times in pregnancy and it becomes the most commonly diagnosed ovarian tumour during pregnancy.”
Dutta Obs. 7/e, p 310
“A benign cystic teratoma is the most common neoplasm to undergo torsion.”
Novak 14/e, p 510